Commonest cause for bile duct infection is which of the following condition ?
1. Clonorchis
2. Common Bile Duct stone
3. Periampullary Ca
4. Ca head of pancreas

Correct answer: 2. Common Bile Duct stone

Explanation: Charcoat's cholangitis triad, a feature of bile duct infection, consists of pain, fever and jaundice.